Lyme disease is transmitted by –
1. Rat flea
2. Tick
3. Mite
4. None

Correct answer: 2. Tick